The Entamoeba species that is morphologically identical to E. histolytica is:
1. E. coli
2. E. dispar
3. E. hartmanni
4. E. gingivaiis

Correct answer: 2. E. dispar

Explanation: Ans: B (E. dispar) Ref: Parija SC. Textbook of Medical Parasitology. 3rd Edition. London: John Wiley & Sons: 2004. Pg 26-47Explanation:Trophozoites and cysts of E. histolytica/ E.dispar/E.moshkovskii are similar in morphology in light microscopy.E.dispar/ E.moshkovskii are non-pathogenic Entamoeba spp.Differences Between Pathogenic and Non- pathogenic AmoebaPropertiesE. histolyticaE.disparAgglutinate coneanavaiin A+-Caecal ulceration in weaning rat+-Phagocytosis of RBC+-Adherence to epithelial cells+-ZymodemesII, VI, VII, XI, XII, XIII, XIVI and III